In Stylalgia most common nerve affected is
1. Glossopharyngeal nerve
2. Abducent nerve
3. Auditory nerve
4. Greater petrosal nerve

Correct answer: 1. Glossopharyngeal nerve

Explanation: The patient complains of pain in tonsillar fossa and upper neck which radiates to the ipsilateral ear. It gets aggravated on swallowing. Ref: Textbook of ENT, Dhingra; 6th edition; Pg no: 272